Following are gastrointestinal hormones except
1. CCK
2. GIP
3. Motilin
4. Chymotrypsin

Correct answer: 4. Chymotrypsin

Explanation: Chymotrypsin is an enzyme. Others are all hormones.